A 65 years old man presenting with complaints of chest pain, fever, cough with sputum. O/E of sputum, pus cells with gram positive cocci present. Blood agar showed positive result. How will you differentiate this from other gram positive cocci?a) Bacitracinb) Optochin sensitivityc) Bile solubilityd) Coagulase positivity
1. a
2. bc
3. ac
4. ad

Correct answer: 2. bc